Which is not included in the triad of hemolytic uremic syndrome?
1. Microangiopathic hemolytic anemia
2. Thrombocytopenia
3. Renal insufficiency
4. Coagulopathy

Correct answer: 4. Coagulopathy

Explanation: D of HUS :- A- Acute renal failure T- Thrombocytopenia M- Microangiopathic hemolytic anemia Most common organism causing HUS World (All over) | Verotoxin - producing E.coli (0157:H7) South Asia (India) | Shigella dysenteria I